Second attack rate is minimum in
1. Diphtheria
2. TB
3. Measles
4. Whooping cough

Correct answer: 2. TB